The abnormal swallowing pattern with the poorest prognosis is:
1. Simple tongue thrust
2. Complex tongue thrust
3. Infantile swallow
4. Retained infantile swallow

Correct answer: 4. Retained infantile swallow